Muscle relaxant contra indicated in Renal faliure is
1. Gallamine
2. d-TC
3. Vecuronium
4. Atracurium

Correct answer: 1. Gallamine

Explanation: A i.e. Gallamine